A 12 year old boy from Uttar Pradesh has a white lesion on his face which has grown noticeably large. On examination there is hypoesthesia on the lesion and it is smooth. What is the likely diagnosis?
1. Lepromatous leprosy
2. Pityriasis alba
3. Asbestosis
4. Indeterminate leprosy

Correct answer: 4. Indeterminate leprosy

Explanation: Indeterminate leprosy presents with relatively small number of hypopigmented macules with smooth margins and oval in shape. The lesions occur commonly on the face or limbs. Some sensory impairment is also a feature. Many cases heal spontaneously in children. However, all cases need treatment because it is difficult to predict the outcome. Ref: Clinical Pediatric Dermatology, By Thappa, Pages 48-49, Elsevier India 2009.